Hypoglycemia, hepatomegaly, growth retardation, muscle weakness and accumulation of limit dextrins is caused by which glycogen storage disease?
1. Cori's disease
2. Von Gierke's disease
3. Anderson disease
4. Pompe's disease

Correct answer: 1. Cori's disease

Explanation: a. Cori's disease(Ref: Nelson's 20/e p 715-725, Ghai 8/e p 655-657)Important Glycogen Storage Diseases:TypeNameEnzyme deficientCharacteristicsType IVon Gierke's diseaseGlucose-6-phosphataseLiver and renal tubule cells loaded with glycogen. Hypo-glycemia, lactic acidemia, ketosis, hyperlipidemia.Type IIPompe's diseaseLysosomal a-1 - 4 and 1 - 6-glucosidase(acid maltaseFatal, accumulation of glycogen in lysosomes, heart failure; muscle involvement seenType IIILimit dextrinosis, or Cori's diseaseDebranching enzymeAccumulation of a characteristic branched polysaccharide (resembling 'Limit dextrin')Type IVAmylopectinosis, Andersen's diseaseBranching enzymeAccumulation of a polysaccharide having few branch points. Death due to cardiac or liver failure in 1st year of life.Type VMcArdle's diseaseMuscle phosphorylaseDiminished exercise tolerance; Little or no lactate in blood after exercise; exercise-induced myoglobinuria secondary to rhabdomyolysis seenType VIHers diseaseLiver phosphorylaseQHigh glycogen content in liver, tendency towards hypoglycemia; Ketosis seen;Type VIITarui's diseasePhosphofructokinase in muscle and erythrocytesAs for type V + hemolytic anemia.